Not controlled directly by ACTH-
1. Glucocorticoids
2. Aldosterone
3. DHEA
4. Epinephrine

Correct answer: 4. Epinephrine

Explanation: Ans. is 'D' i.e., Epinephrine o The question is very simple. o Adrenocorticotropin hormone ( ACTH), as the name indicates, stimulate adrenal cortex. o Epinephrine is secreted by adrenal medulla other three hormones (given in question) are secreted by adrenl cortex, o ACTH has its main and most important effect on secretion of glucocorticoids (cortisol). o The effect on secretion of mineralocorticoids (aldosterone) and androgens (DHEA : dehydroepiandrosterone) in minimal (but some effect is there, which is not major regulatory mechanism). o It should be remembered that, though ACTH does not have a direct effect on epinephrine secretion, it increases epinephrine secretion indirectly as epinephrine secretion is dependent on cortisol.